Anemia with reticulocytosis is seen in-
1. Hemolysis
2. Iron deficiency anemia
3. Vitamin B12 deficiency
4. Aplastic anemia

Correct answer: 1. Hemolysis

Explanation: In the tests of increased red cell production, reticulocyte count reveals reticulocytosis which is Generally early and is hence most useful initial test of marrow erythroid hyperplasia of hemolytic anemia Reference textbook of Pathology 7th edition author Harsha Mohan page number 287 Ref Robbins 9/e pg409